Die is commonly seen in -
1. MlAML
2. M2AML
3. M3AML
4. M4AML

Correct answer: 3. M3AML

Explanation: Acute promyelocytic leukaemia (M3) may be associated with a serious coagulation abnormality ,disseminated intravascular coagulation.Reference :Davidson's principles & practices of medicine 22nd edition pg no 383.